The clinical combination of dermatitis, diarrhoea, and dementia resulting from a deficiency of niacin is referred to as:
1. Beriberi
2. Marasmus
3. Pellagra
4. Rickets

Correct answer: 3. Pellagra

Explanation: Deficiencies of niacin produce pellagra, a disease that is characterized by the triad of dementia, dermatitis (“glove” or “necklace” distribution), and diarrhoea.